Pudendal nerve supplying sphincter of bladder has the root value of?
1. T12-L1
2. L4-L5
3. S2-S4
4. L2-L3

Correct answer: 3. S2-S4

Explanation: Ans. C.S2 -S4 a. A nerve that is formed by fibers from the second, third, and fourth sacral nerves, passes through the greater sciatic foramen, and accompanies the internal pudendal artery to terminate as the dorsal nerve of the penis or of the clitoris.b. The pudendal nerve is a nerve in the pelvic region that innervates the external genitalia of both sexes, as well as sphincters for the bladder and the rectum.c. The pudendal nerve originates in the sacral plexus; it derives its fibers from the ventral branches of the second, third, and fourth sacral nerves (S2 ,S3 ,S4 ),d. It passes between the piriformis and coccygeus muscles and leaves the pelvis through the lower part of the greater sciatic foramen.e. It crosses the spine of the ischium, and reenters the pelvis through the lesser sciatic foramen.f. It accompanies the internal pudendal vessels upward and forward along the lateral wall of the ischiorectal fossa, being contained in a sheath of the obturator fascia termed the pudendal canal.g. The pudendal nerve gives off the inferior anal nerves. It soon divides into two terminal branches: the perineal nerve, and the dorsal nerve of the penis (males) or the dorsal nerve of the clitoris (in females).h. Inferior anal nerves given off shortly after passing through the Greater sciatic foramen. Perineal nerve more superficial terminal branch Dorsal nerve of penis/Dorsal nerve of clitoris deeper terminal branch, travelling into the deep perineal pouchi. The pudendal nerve innervates the penis and clitoris, bulbospongiosus and ischiocavernosus muscles, and areas around the scrotum, perineum, and anus. At sexual climax, the spasms in the bulbospongiosus and ischiocavernous results in ejaculation in the male and most of the feelings of orgasm in both sexes.